Appendicitis like syndrome is caused by all except?
1. Yersinia enterocolitica
2. Yersinia pseudotuberculosis
3. Pasteurella septica
4. Yersenia pestis

Correct answer: 4. Yersenia pestis

Explanation: Ans. is 'd' i.e., Yersinia pestis Pasteurella multocida (Pasteurella septical . The bacillus is often carried in the upper respiratory tract of a variety of animals such as dogs, cats, rats, cattle and sheep.. It may sometimes occur as a commensal in human respiratory tract also.. Human infection is rare but may occur following animal bites or trauma.. Clinical manifestations- Wound infection - Abscess - Pneumonia - Meningitis- Cellulitis - Osteomyelitis - Sinusitis - AppendicitisYersinia pseudotuberculosis . he bacillus resembles the plague bacillus (Y.pestis) but can be distinguished by presence of motility at 22degC (but not at 37degC).. It causes pseudotuberculosis in animals.. Human infection is rare and may present as typhoid like illness or mesentric lymphadenitis simulating appendicitis. Yersinia enterocolitica . This bacillus resembles Y. pseudotuburculosis in being motile at 22degC.. It causes gasteroenteritis or mesentric adenitis & terminal ileitis that may mimic appendicitis or systemic disease (bacteremia, meningitis).